A symptom of medullary sponge kidney disease is ?
1. Nocturia
2. Anemia
3. Azotemia
4. UTI

Correct answer: 4. UTI

Explanation: Ans. is 'd' i.e., UTI Medullary sponge kidney is a congenital disorder characterized by cystic dilatation of papillary collecting ducts of one or both kidneys. Urinary stasis in the dilated ducts, hypocitraturia, and, occasionally, incomplete distal renal tubular acidosis (dRTA) contribute to the formation of small calcium-containing calculi. Most cases are asymptomatic or are discovered during investigation of asymptomatic hematuria. Symptomatic patients typically present as young adults with: - Kidney stones with renal colic - Recurrent hematuria - Infection (UTI) Most cases are sporadic, while some show autosomal dominant inheritance Involvement is bilateral in most cases